Third ventricle is derived from -
1. Mesencephalon
2. Rhombencephalon
3. Thalamecephalon
4. Telencephalon

Correct answer: 3. Thalamecephalon

Explanation: Ans. is 'c' i.e., Thalamecephalon Part of brainSubdivisionsCavityo Forebrain (Prosencephalon)o Telencephalon (cerebrum)Cerebral hemisphereo Diencephalon (thalamencephalon) Thalamus, hypothalamus, metathalamus (including medial and lateral genialate bodies), epithalamus, sunthalamus.Lateral ventricle Third ventricleo Midbrain (Mesencephalon)o Crus cerebri, substantia nigra, tegmentum and tectumCerebral aqueducto Hindbrain (rhombencephalon)o Metencephalon pons, cerebellumo Mylencephalon medullaFourth ventricle